Glanders is caused by:
1. Protozoa
2. Virus
3. Fungi
4. Bacteria

Correct answer: 4. Bacteria

Explanation: Ans. is. 'd' i. e., Bacteria